Which of the following aminoacids is a component of Thioredoxin reductase?
1. Selenocysteine
2. Cysteine
3. Methionine
4. Homocysteine

Correct answer: 1. Selenocysteine

Explanation: Ans. is 'a' i.e., Selenocysteine Selenocysteine is present at the active site of some enzymes that catalyze redox reactions, e.g. thioredoxin reductase, glutathione peroxidase, and the deiodinase (converts thyroxin to triiothyronine).